False about ORS composition is:-
1. NaCl 2.6 grams
2. KCl 1.5 grams
3. Na+ 75 mmol/L
4. K+ 65 mmol/L

Correct answer: 4. K+ 65 mmol/L

Explanation: WHO low osmolarity ORS contain; Reduced Osmolarity ORS - Na+ 75 mmol /L K+ 20 mmol /L Cl- 65 mmol/L Citrate 10 mmol/L Glucose 75 mmol/L Total 245 mmol/L NaCL 2.6 g KCl 1.5gms Sodium citrate 2.9gms